The following is true of placebo
1. Placebo is a dummy medication
2. Placebo in the inert material added to the drug for making tablets
3. Placebos do not produce any effect
4. All patient respond to Placebo

Correct answer: 1. Placebo is a dummy medication

Explanation: Ref-KDT 6/e p65 Placebo plays a very important role in the clinical trials. To know, whether the effect is produced by a drug or it is just by chance, Ada me medication known as placebo is given to the control group, placebo may or may not produce an effect in a subject